Carbon monoxide diffusion capacity decreases in all, Except -
1. Emphysema
2. Primary pulmonary hypertension
3. Alveolar haemorrhage
4. Infiltrative lung disease

Correct answer: 3. Alveolar haemorrhage